All of the following structures drains into middle meatus, EXCEPT:
1. Lacrimal duct
2. Maxillary sinus
3. Frontal sinus
4. Ethmoidal sinus

Correct answer: 1. Lacrimal duct

Explanation: The nasolacrimal duct is the only structure that drains into the inferior meatus. Its opening is in the anterosuperior aspect of the meatus and can be injured during maxillary sinus surgery. Anterior ethmoid sinus is divided into frontal recess cells, infundibular cells and bullar or middle ethmoidal cells. Frontal recess opens into the frontal recess of the middle meatus, infundibular cells open into ethmoid infundibulum and middle ethmoid cells open directly into middle meatus. Maxillary sinus drains into middle meatus of nasal cavity. The frontal sinus drain into anterior aspect of middle meatus.